Drug of choice for mushroom poisoning is :
1. Atropine.
2. Solefenacin.
3. Oxybutynin.
4. Tolterodine.

Correct answer: 1. Atropine.